Complications of soft contact lens are A/E:
1. Giant papillary conjunctivitis
2. Folliculosis
3. Corneal vascularization
4. Corneal erosion

Correct answer: 2. Folliculosis

Explanation: B i.e. Folliculosis